All of the following are true about small bowel lymphoma except
1. Treatment is resection of involved segment with chemoradiotherapy
2. AIDS and Celiac disease are predisposing conditions
3. It is a very uncommon tumour amongst small bowel malignancies
4. It may present with hemorrhage and perforation

Correct answer: 3. It is a very uncommon tumour amongst small bowel malignancies

Explanation: Answer- C. It is a very uncommon tumour amongst small bowel malignanciesSmall bowel lymphomaLymphoma of the small bowel is the most common small bowel malignancy, accounting accounts for -25% of all primary small bowel malignancies.Predisposing conditions includes-AIDSCoeliac diseaseClinical presentationGastrointestinal haemorrhageperforationSmall bowel obstruction (uncommon)